Opisthotonus is seen in
1. Tetanus
2. anthracis
3. tetany
4. rabies

Correct answer: 1. Tetanus